In a chronic smoker which hemoptysis, he also gave a history of hypertension and obesity. Lab data showed raised ACTH levels, which are not suppressed by dexamethasone. The cause of Cushing's syndrome in the patient is -
1. MEN1
2. Pituitary adenoma
3. Adrenal cortical adenoma
4. Ectopic ACTH secreting tumor

Correct answer: 4. Ectopic ACTH secreting tumor

Explanation: - History of chronic smoking and hemoptysis along with raised ACTH levels not suppressible by dexamethasone points to ectopic ACTH producing small cell carcinoma of lung.